Person at night looks at the window and frightens. Wife switches the light on and turns out That window cover is having a shape like a man.
1. Illusion
2. Hallucination
3. emotion
4. Loosening of association

Correct answer: 1. Illusion

Explanation: * ILLUSION= altered perception of a real object * Mistaking a rope for a snake There are several types of illusions namely PAREIDOLIC ILLUSION==vague stimulus (like clouds) are perceived as something known to the patient (image of a dog)